Phthsis bulbi means -
1. Developmental hypoplasia of optic cup
2. Final end stage of chronic scleritis
3. Final end stage of chronic uveitis
4. All of the above

Correct answer: 3. Final end stage of chronic uveitis

Explanation: Phthisis bulbi is a shrunken, non-functional eye. It may result from severe eye disease, inflammation or injury, or it may represent a complication of eye surgery. Treatment options include insertion of a prosthesis, which may be preceded by enucleation of the eye. Ref: Khurana 7th/e p.163 & 4th/e p.146.